The following feature is in favour of ulcerative colitis over Crohn's disease
1. Cobblestoning
2. Rectal sparing
3. Fistula
4. Blood and mucus in stool

Correct answer: 4. Blood and mucus in stool

Explanation: The major symptoms of UC are diarrhea, rectal bleeding, tenesmus, passage of mucus, and crampy abdominal pain.Ulcerative ColitisCrohn's diseaseClinical Gross blood in stoolYes OccasionallyMucusYesOccasionallySystemic symptomsOccasionallyFrequentlyPainOccasionallyFrequentlyAbdominal massRarelyYesSignificant perineal diseaseNoFrequentlyFistulasNoYesSmall intestinal obstructionNoFrequentlyColonic obstructionRarelyFrequentlyResponse to antibioticsNoYesRecurrence after surgeryNoYesEndoscopicRectal sparingRarelyFrequentlyContinuous diseaseYesOccasionally"Cobblestoning"NoYesGranuloma on biopsyOccasionallyRadiographicSmall bowel significantly abnormalNoYesAbnormal terminal ileumNoYesSegmental colitisNoYesAsymmetric colitisNoYesStrictureOccasionallyFrequentlyRef: Harrison 19e pg: 1956